Erlenmeyer flask deformity is classical X-ray finding in
1. Pompe's disease
2. Gauchers disease
3. Sandhoff's disease
4. Von Gierke disease

Correct answer: 2. Gauchers disease

Explanation: Refer the byte Sphingolipidoses